Hyperkalemia shows the following changes in ECG, except
1. Increased T wave amplitude
2. Prolonged PR interval
3. ST depression
4. Prolonged QRS duration

Correct answer: 3. ST depression